Navy Plaque Index was introduced by:
1. Muhlemann
2. Ennever
3. Grossman & Fedi
4. None of the above

Correct answer: 3. Grossman & Fedi